Which thyroid carcinoma has amyloid deposition-
1. Anaplastic
2. Follicular
3. Medullary
4. Papillary

Correct answer: 3. Medullary

Explanation: Ans. is 'c' i.e., Medullary o Medullary carcinoma of thyroid has deposition of A cal amyloid (derived from calcitonin).